A victim of Tsunami has difficulty in overcoming the experience. She still recollects the happening in dreams and thoughts. The most likely diagnosis is
1. Post traumatic stress disorder
2. Conversion disorder
3. Panic disorder
4. Phobia

Correct answer: 1. Post traumatic stress disorder

Explanation: PTSD is characterised by recurrent and intrusive recollections of the stressful event, either in flashbacks (images, thoughts, or perceptions) and/or in dreams. There is an associated sense of re-experiencing of the stressful event. There is marked avoidance of the events or situations that arouse recollections of the stressful event, along with marked symptoms of anxiety and increased arousal. The other important clinical features of PTSD include partial amnesia for some aspects of the stressful event, feeling of numbness, and anhedonia (inability to experience pleasure). Ref: A Short Textbook of Psychiatry, Niraj Ahuja, 7th Edition, pg. no. 112